Drugs used for treatment of ectopic pregnancy are:a) MTXb) Actinomycin-Dc) HCGd) RU-486e) KCl
1. abcd
2. bcde
3. acde
4. abde

Correct answer: 4. abde